Most common newborn rash which presents at 2448 hours of life is -
1. Erythematous papular pustular lesions
2. Milia
3. Transient neonatal pustular melanosis
4. Haemangioma

Correct answer: 1. Erythematous papular pustular lesions

Explanation: Ans. is 'a' i.e., Erythematous papular pustular lesions Common newborn rashes o Erythema toxicum ---> Most common o Acne neonatorum o Transient neonatal pustural melanosis.